All the statements are true about exotosis, EXCEPT:
1. Growth continues after skeletal maturity
2. It is covered by cartilaginous cap
3. Malignant transformation may occur
4. A vertically transmitted disorder

Correct answer: 1. Growth continues after skeletal maturity

Explanation: Exotosis or osteochondroma is the commonest benign "tumour" of the bone. It is not a true neoplasm since its growth stops with cessation of growth at the epiphyseal plate. It is a result of an aberration at the growth plate, where a few cells from the plate grow centrifugally as a separate lump of bone. Ref: Apley's System of Orthopedics and Fractures, 8th Edition, Page 178; Essential Orthopaedics By J. Maheshwari, 2012, Page 240 and 3rd Edition, Page 225.